Which is true about type II hypersensitivity reaction?
1. Immune complex mediated
2. Antigen - antibody mediated
3. Arthus phenomenon
4. Granulomatous reaction

Correct answer: 2. Antigen - antibody mediated

Explanation: Type II or Cytotoxic Hypersensitivity depends on the abnormal production of IgG or IgM directed against tissue antigens or a normal reaction to foreign antigens expressed on host cells. There are three main mechanisms of injury in Type II reactions:* Activation of complement followed by complement mediated lysis or phagocytosis and removal by leukocytes* Antibody dependent cellular cytotoxicity* Inactivation of a biologically active molecule